What of the following is seen in fresh water drowning ?
1. Hypovolemia
2. Hemoconcentration
3. Hyperkalemia
4. Hypernatremia

Correct answer: 3. Hyperkalemia

Explanation: Ans. is 'c' i.e. Hyperkalemia